. Which of the following Calcium channel blocker would be useful in the treatment of supraventricular tachycardia suppressing AV node conduction
1. Amilodipine
2. Nimodipine
3. Verapamil
4. Nifedipine

Correct answer: 3. Verapamil

Explanation: Refer kDT 7/e 535 Calcium channel blockers are prescription medications that relax blood vessels and increase the supply of blood and oxygen to the heart while also reducing the heart's workload. Examples of calcium channel blockers include: Amlodipine (Norvasc) Supraventricular tachycardia, orSVT, is a type of rapid heartbeat that begins in the upper chambers of the heart. Most cases don't need to be treated. They go away on their own Adenosine is a short-actingmedication that is commonly used as a first-line drug to treat PSVT. Other treatment options for other atrial tachycardias include calcium channel blockers, beta blockers, digoxin, and amiodarone.